Artery which lies deep to pterion is
1. Anterior cerebral
2. Middle meningeal
3. Deep temporal
4. Maxillary

Correct answer: 2. Middle meningeal